True regarding Keratoacanthoma:
1. Central ulceration is uncommon
2. Known as Molluscum sebaceum
3. Caused by pox virus
4. Heals without scarring

Correct answer: 2. Known as Molluscum sebaceum

Explanation: Central ulceration is very common Known as Molluscum sebaceum Caused by pox virus is a false statement Heals with scarring as it is a severe condition Keratoacanthome (KA) is a relatively common low grade tumor that originates in the pilosebaceious glands and closely resemble squamous cell carcinoma (SCC) Lesion shows central crateriform ulceration or keratin plug that may project like a horn.